In femoral triangle the most medial structure seen is?
1. Lymphatics
2. Artery
3. Vein
4. Nerve

Correct answer: 1. Lymphatics

Explanation: A i.e. Lymphatics